Aspirin should be used with caution in the following groups of patients because of which of the following reason :
1. In diabetics because it can cause hyperglycemia
2. In children with viral disease, because of the risk of acute renal failure
3. In gout, because it can increase serum uric acid
4. In pregnancy, because of high risk of teratogenicity

Correct answer: 3. In gout, because it can increase serum uric acid

Explanation: At therapeutic doses, Aspirin can cause hyperuricemia by decreasing the excretion of uric acid. It, therefore, should not be used in patients with gout. It also decreases the uricosuric action of probenecid. At high doses (>5 g/ d), it increases the excretion of uric acid, but such high doses are not tolerated.
Aspirin is contraindicated in children (<12 yrs old) due to increased risk of Reye's syndrome, which is a type of hepatic encephalopathy.
It should be avoided in diabetics because of risk of hypoglycemia
It should be avoided in pregnancy because it may be responsible for low birth weight babies, however, it does not cause congenital malformations.